Trotter's triad includes all except
1. Sensory disturbance over distribution of 5th cranial nerve
2. Conductive deafness
3. Diplopia
4. Palatal palsy

Correct answer: 3. Diplopia

Explanation: Trotter's traid:- Nasopharyngeal cancer can cause conductive deafness (eustachian tube blockage), ipsilateral temporoparietal neuralgia (involvement of CN V) and palatal paralysis (CN X)-- collectively called Trotter's triad. Ref:- Dhingra; pg num:-251